Simplest measure of dispersion
1. Range
2. Standard deviation
3. Mean deviation
4. Co-efficient of range

Correct answer: 1. Range

Explanation: Ref:Parks 23rd edition pg 849 Measures of dispersion: Range: simplest measure of dispersion. Mean or Average deviation. Standard deviation.